Best indicator of Cardiovascular Disease risk
1. Skin fold thickness
2. Waist Hip ratio
3. Waist Circumference
4. BMI

Correct answer: 2. Waist Hip ratio